Which of the following is NOT a sonographic finding of fetal syphilis?
1. Hepatomegaly
2. Lymphadenopathy
3. Placentomegaly
4. Ascites/hydrops

Correct answer: 2. Lymphadenopathy

Explanation: Findings in USG in a case of fetal syphilis Hepatomegaly Ascites Hydrops (fetal anemia) Polyhydramnios Placentomegaly